Acetazolamide can be used in all except :
1. Epilepsy
2. Acute mountain sickness
3. Cirrhosis
4. Glaucoma

Correct answer: 3. Cirrhosis